3-million plan was proposed by
1. Kartar Singh committee
2. Mudaliar committee
3. Srivastava committee
4. Bhore committee

Correct answer: 4. Bhore committee

Explanation: Important recommendations of the bhore committee were1. Integration of preventive and curative services at all administrative levels2. Development of PHC in 2stages: a. short-term measure, it was proposed that each primary health center in rural areas should cater to a population of 40000 with a secondary health center to serve as a supervisory, coordinating and referral center. b. the long-term program also called as 3 million plan of setting up primary health units with 75 bedded hospitals for each 10000 to 20000 population with secondary units with 650-bedded hospitals, again regionalized around district hospitals with 2500 beds3. Major changes in medical education which includes 3 months training in preventive and social medicine to prepare social physiciansRef: Park; 23rd ed; Pg 873